A 31-year-old female patient has been diagnosed with bipolar Affective disorder. She is planned to be started on Lithium. Before starting it, which of the following laboratory tests should be done?
1. Thyroid function tests, S. creatinine, pregnancy test
2. Thyroid function tests, S. creatinine, complete blood count
3. Thyroid function tests, S. creatinine, ALT
4. Thyroid function tests, liver function tests, pregnancy test

Correct answer: 1. Thyroid function tests, S. creatinine, pregnancy test

Explanation: Ans. A. Thyroid function tests, S. creatinine, pregnancy testLithium, used for mood stabilization in patients with bipolar disorder, is known for its low margin of safety, making frequent monitoring necessary. Common side effects include gastrointestinal disturbances, nephrotoxicity, hypothyroidism, tremors, leukocytosis, acne, psoriasis flares, hair loss, and edema. Because of these effects, it is important to get thyroid function tests and renal function tests (creatinine) before starting any patient on this medication. Lithium is also teratogenic and has been associated with cardiac defects, so a pregnancy test is necessary before lithium therapy.